Which is false about syphilis -
1. TPI gives definite diagnosis
2. TPHA is earliest to be +ve
3. VDRL is +ve 1 week after appearance of chancre
4. Serologically not different from yaws

Correct answer: 2. TPHA is earliest to be +ve

Explanation: Ans. is 'b' i.e., TPHA is earliest to be (+) ye About other options - TPI is a specific treponemal test and gives definite diagnosis. - VDRL test becomes positive 7-10 days after the appearance of primary chancre (3-5 weeks after acquiring the infection.) - All treponemal and nontreponemal serological tests may be positive in nonveneral treponematoses (eg yaws, pinta and endemic syphilis), so can not differentiate nonveneral treponematoses from syphilis.